Disintegration of nissl bodies in nerve injury is called:
1. Chromatolysis
2. Cytolysis
3. Both
4. None

Correct answer: 1. Chromatolysis

Explanation: Chromatolysis: it is the process of disintegration of nissl bodies following nerve injury It is a part of proximal degradation Ref:Guyton and Hall textbook of medical physiology 12th edition,page number: 74,75,76